Thrombopoietin is produced by
1. Monocytes
2. Liver
3. Megakaryocyte
4. Megakaryoblast

Correct answer: 2. Liver